Atropine is given as preanesthetic to
1. Reduce salivation gag reflex
2. Reduce bronchial secretion
3. Bronchoconstriction
4. Prevent tachycardia

Correct answer: 2. Reduce bronchial secretion

Explanation: (B) (Reduce bronchial secretions) (268, 56 Arun Yadav 5th)ATROPINE- Use to teeat bradyarrhythmiasOther uses:1. As pre medication to decrease respiratory secretions2. In reversal along with neostigmine to prevent muscarinic effects3. Organosphosphorus PoisoningGOALS OF PREMEDICATIONS* To relieve anxiety* To produce haemodynamic stability* To induce sedation (good sleep) and reduce metabolic rate* To provide analgesia and amnesia* To decrease the chances of aspiration* To contral oral and respiratory secretions* To prevent postoperative nausea and vomiting* To control infections* Atropine is a bronchodilator and reduce air way resistance specially COPD and Asthma patients* Atropine prevent bradycardia, hypotension